Which among the following mode of ventilation has highest risk of patient developing respiratory alkalosis
1. Controlled Mandatory Ventilation
2. Synchronous Intermittent Mandatory Ventilation
3. Assist Control Mode
4. Pressure Control Mode

Correct answer: 3. Assist Control Mode

Explanation: Assist control mode has highest risk of patient developing respiratory alkalosis. Since the patient can initiate breaths, hyperventilation can lead to respiratory alkalosis.